Pre-renal azotemia is associated with one of the Mowing characteristic feature -
1. UrinaryNa+< lOmmol/L
2. Renal failure index > 1
3. Osmolality < 500
4. Urinary creatinine/P.creatinine ratio < 20

Correct answer: 1. UrinaryNa+< lOmmol/L

Explanation: Ref:Harrison 20th edition pg no 291. Values pre renal Azotemia oliguric phase of renal failure BUN/p cr >20:1 10-15:1 Urine sodium meq/L <20 >40 Urine osmolality mosmol/L H20 >500 <350 Fractional excretion of Na <1% >2% Urine analysis (casts) hyaline or granular muddy brown Urine/plasma creatininr >40 <20